Infertility is a common feature in "Sertoli cell only" syndrome because -
1. Too many Sertoli cells inhibit spermatogenesis inhibin
2. Proper blood-testis barrier is not established
3. There is no germ cells in this condition
4. Sufficient numbers of spermatozoa are not produced

Correct answer: 3. There is no germ cells in this condition

Explanation: . There is no germ cells in this condition